Example of DBA used as amalgam bonding agent:
1. 2-META
2. 4-META
3. 2-HEMA
4. 4-HEMA

Correct answer: 2. 4-META

Explanation: 4 META is applied into the cavity first then amalgam is condensed over it. And finally curing is done.